Low-density lipoproteins (LDL) represents a final stage in the catabolism of VLDL. Which of the following receptors are present in liver for uptake of LDL?
1. Apo E
2. Apo A and Apo E
3. Apo E and Apo B100
4. Apo B100

Correct answer: 3. Apo E and Apo B100

Explanation: The liver and many extrahepatic tissues express the LDL (apo B-100, E) receptor. It is so designated because it is specific for apo B-100 but not B-48, and also takes up lipoproteins rich in apo E. Approximately 30% of LDL is degraded in extrahepatic tissues and 70% in the liver. The LDL (apoB-100, E) receptor is defective in familial hypercholesterolemia. Ref: Botham K.M., Mayes P.A. (2011). Chapter 25. Lipid Transport & Storage. In D.A. Bender, K.M. Botham, P.A. Weil, P.J. Kennelly, R.K. Murray, V.W. Rodwell (Eds), Harper's Illustrated Biochemistry, 29e.